In otherwise healthy 40 yr old man Management of a Rcc less than 4cm in size ?
1. chemotherapy
2. Radical nephrectomy
3. Partial nephrectomy
4. Surgery followed by chemotherapy

Correct answer: 3. Partial nephrectomy

Explanation: REF : bailey and love 27th ed.